Chandler's index is:
1. Number of hookworm larva per gram of stool
2. Number of hookworm eggs per gram of stool
3. Number of hookworm per gram of stool
4. Number of E. coli in a water sample

Correct answer: 2. Number of hookworm eggs per gram of stool

Explanation: Ans. (b) Number of hookworm eggs per gram of stoolRef : K. Park 23rd ed. / 243-44* CHANDLER'S INDEX is also known as Endemic index.* It is defined as average number of hookworm eggs per gram of stool for the entire community.* >300 eggs per gram of stool denotes important public health problem.Interpretation of chandler's index:Average No. of eggs/gm of stoolInterpretation* <200No significance* 200-250Potential danger* 250-300Minor public health problem* >300Major public health problem